Group of fibres, which resist the masticatory forces
1. Dentogingival
2. Transeptal
3. Oblique
4. Horizontal

Correct answer: 3. Oblique